Most common tumor to extend from intracranial to orbit is -
1. Astrocytoma
2. Pituitary adenoma
3. Craniopharyngioma
4. Sphenoidal wing meningioma

Correct answer: 4. Sphenoidal wing meningioma

Explanation: Ans. is 'd' i.e., Sphenoidal wing meningioma "Meningiomas are the most common intracranial tumor to extend to the orbit",..............Ophthalmic oncologyo Meningiomas commonly arise from the dura of sphenoid wing, i.e. sphenoid wing meningioma.